Alkanization of urine is done for:
1. Weak acid drugs
2. Weak basics drugs
3. Strong acidic drugs
4. Strong basic drugs

Correct answer: 1. Weak acid drugs

Explanation: Elimination of some drugs is by altering the pH Eg; alkalinization for weak acidic drugs, e.g. Barbiturates acidification of weak alkaline drugs or weak bases weak acids or weak bases- unionized forms- difficult to get eliminated strong acids and strong bases- ionized forms- could be eliminated easily Ref: KD Tripathi pharmacology 7th edition (page.no: 81)